Charcot leyden crystals in stool are seen in:
1. Bacillary dysentery
2. Amoebic dysentery
3. Giardiasis
4. Cholera

Correct answer: 2. Amoebic dysentery

Explanation: Ans. is 'b' i.e., Amoebic dysentery(Ref: Harrison, 18th/e, 1685)Charcot-Leyden crystals are slender and pointed at both ends, consisting of a pair of hexagonal pyramids joined at their bases. They consist of lysophospholipase (galectin 10), an enzyme synthesized by eosinophils, and are produced from the breakdown of these cells.